A primigravida came with 6 cm cervical dilatation with contraction rate of 3/10 minutes. Which stage of labor is she in?
1. 1st stage
2. 2nd stage
3. 3rd stage
4. 4th stage

Correct answer: 1. 1st stage

Explanation: ANS. A* 1st stage (onset of true labor pain to full cervical dilatation)* 2nd stage (delivery of baby)* 3rd stage (delivery of placenta* 4th stage (1 hour observation).# Pictorial representation of stages of labor